The ovulatory period corresponds to :
1. 14 days before menstruation
2. The day of menstruation
3. Increase in basal temperature
4. 14 days atter menstruation

Correct answer: 1. 14 days before menstruation

Explanation: 14 days before menstruation